All of the following are features of cochlear hearing loss except-
1. SISI test is positive
2. Speech discrimination is highly impaired
3. No tone decay
4. Damage to hair cells

Correct answer: 2. Speech discrimination is highly impaired

Explanation: Ans. is 'b' i.e., Speech discrimination is highly impaired Cochlear SNHLRetrocochlear SNHLDamage to hair cellsDamage to VIII nerve and its connectionsRecruitment presentRecruitment AbsentNo significant tone decaySignificant tone decaySISI PositiveSISI NegativeSpeech discrimination not highly impairedSpeech discrimination highly impairedSubjective diplacusis, hyperacusis, ear fullnessNo such feelingBekesy shows no gap between I and C tracing (Type II)Bekesy shows wide gap between I and C tracings (type III)